Antidote for cyanide poison is:
1. Sodium bicarbonate
2. Sodium chloride
3. Sodium thiosulphate
4. All of the following

Correct answer: 3. Sodium thiosulphate

Explanation: Ans: C i.e. Sodium thiosulphate Cyanide is directly converted to thiocyanate (non-toxic; excreted in the urine) by the complexing of cyanide with thiosulphate under the influence of the enzyme rhodanase.